Therapeutic drug monitoring is used for all except?
1. Drugs with low safety margin
2. In case of poisoning
3. To check patient compliance
4. To check the therapeutic effects of drug

Correct answer: 4. To check the therapeutic effects of drug

Explanation: Ans. is d i.e., To check the therapeutic effects of drug